Honing machine is used for:
1. CAD CAM Inlay fabrication
2. Polishing restorations
3. Mechanical sharpening of Instruments
4. Caries detection

Correct answer: 3. Mechanical sharpening of Instruments